Which of the following is not the standard of good evaluation?
1. Repeatability
2. Feasibility
3. Accuracy
4. Propriety

Correct answer: 1. Repeatability